The most common site of involvement of spinal TB in children is at which of the following level?
1. Lower thoracic vertebra
2. Upper thoracic vertebra
3. Cervical vertebra
4. Mid thoracic vertebra

Correct answer: 2. Upper thoracic vertebra

Explanation: The upper thoracic spine is the most common site of spinal TB in children, the lower thoracic and upper lumbar vertebrae are usually affected in adults. Reference: Harrisons Principles of Internal Medicine, 18th Edition, Page1347-48